Most commonly used method of display of ultrasound is
1. A-Mode
2. B-Mode
3. M-Mode
4. D-Mode

Correct answer: 2. B-Mode

Explanation: Applications- A-Mode- Commonly used for orbital biometry,Axial Length of eyeball. B-Mode (Brightness) : Most commonly used mode. M-mode (motion): Used for valvular morphology and motion,Echocardiography and Fetal Hear Rate monitoring.